Ghon complex of the lung usually
1. Undergoes cavitation
2. Undergoes calcification
3. Progresses to tuberculous pneumonia
4. Progresses to military tuberculosis

Correct answer: 2. Undergoes calcification